Field defect seen in pituitary adenoma:
1. Bitemporal hemianopia
2. Binasal hemianopia
3. Quadrantanopia
4. "Pie in sky" defect

Correct answer: 1. Bitemporal hemianopia

Explanation: A i.e. Bitemporal hemianopia Pituitary gland tumors, craniopharyngeoma & suprasellar aneurysms compress central chiasma and present with bitemporal hemianopia Q